The terminal branch of the basilar artery Is?
1. Anterior inferior cerebellar artery
2. Anterior spinal artery
3. Posterior cerebral artery
4. Posterior inferior cerebellar artery

Correct answer: 3. Posterior cerebral artery

Explanation: The posterior cerebral artery is the terminal branch of the basilar artery. Branches of basilar artery- Anterior inferior cerebellar artery Labryinthine artery(20%) Superior cerebellar artery to cerebellum Posterior cerebral artery Pontine branches